Number of aquaporins cloned is:
1. 5
2. 8
3. 13
4. None of the above

Correct answer: 3. 13

Explanation: Rapid diffusion of water across cell membranes depends on the presence of water channels, integral membrane proteins called aquaporins. To date, 13 aquaporins have been cloned; however, only 4 aquaporins (aquaporin-1, aquaporin-2, aquaporin-3, and aquaporin-4) play a key role in the kidney. The roles played by aquaporin-1 and aquaporin-2 in renal water transport are discussed below. Ref: Ganong's Review of Medical Physiology 23rd edition, Chapter 38.